A 28-year-old male patient is brought to casualty in comatose state with pin-point pupils, reduced respira- tory rate and bradycardia. Most likely diagnosis:
1. Tricyclic antidepressant poisoning
2. Opioid poisoning
3. Benzodiazepine poisoning
4. Organophosphorus poisoning

Correct answer: 2. Opioid poisoning

Explanation: Ans. Opioid poisoning